Arrangement of lens from eye to source of light, in light microscope
1. Ocular lens: Objective lens: Condensor lens
2. Objective lens: Ocular lens: Condensor lens
3. Condensor lens: Objective lens: Ocular lens
4. Objective lens: Condensor lens: Ocular lens

Correct answer: 1. Ocular lens: Objective lens: Condensor lens